All except one are centrally acting muscle blockers:
1. Meprobamate
2. Baclofen
3. Diazepam
4. Dantrolene sodium

Correct answer: 4. Dantrolene sodium